All the following are seen in Multiple myeloma except -
1. Visual Disturbance
2. Bleeding tendency
3. Proteinuria
4. Dystrophic calcification

Correct answer: 4. Dystrophic calcification